Earliest feature of Tuberous sclerosis is:
1. Angiofibroma
2. Shagreen patch
3. Ash leaf spot
4. Neurofibroma

Correct answer: 3. Ash leaf spot

Explanation: Ash leaf spot